Following is not a risk factor for development of diabetes mellitus
1. Sedentary life style
2. High intake of vitamin-A
3. Excessive intake of alcohol
4. Protein energy malnutrition in infancy

Correct answer: 2. High intake of vitamin-A

Explanation: Cataract accounts for 62.6% of blindness in India.